In case of sudden death in a young football player, the first clinical suspicion would rest on which of the following differentials ?
1. Arrthymogenic right ventricular dysplasia
2. Takotsubo cardiomyopathy
3. Atrial septal defect
4. Eisenmenger complex

Correct answer: 1. Arrthymogenic right ventricular dysplasia

Explanation: Answer- A. Arrthymogenic right ventricular dysplasiaThe most important cause of sudden death in professional footballer in setting of beta myosin testing being available is not HOCM but arrythmogenic right ventricular dysplasia.The Desmin gene irresponsible for defect in muscle of right ventricle leading to fibrofatty replacement of the muscle.These patients in sitting of adrenergic stimulation can develop a VT or Torsades de Pointes leading to death on the football field.